Which of the following beta blocker is NOT considered cardio-selective?
1. Metoprolol
2. Atenolol
3. Esmolol
4. Carvedilol

Correct answer: 4. Carvedilol

Explanation: Labetalol, carvedilol, nebivolol are alpha PLUS beta blockers. betaxolol, bisprolool,atenolol,esmolol,meoprolol are considered cardio selective. Ref: KD Tripathi 8th ed.